Which nerve escapes entrapment syndrome:
1. Femoral
2. Radial
3. Ulnar
4. Median

Correct answer: 1. Femoral

Explanation: Femoral